Null mutation is :
1. Mutation occuring in Non Coding region.
2. Mutation that does not change the amino acid or end product
3. Mutation that codes for a change in progeny without any chromosomal change
4. Mutation that leads to no functional gene product

Correct answer: 4. Mutation that leads to no functional gene product

Explanation: D i.e. Mutation that leads to no functional gene product